Dissociative disorders are
(A)Multiple person
(B)Fugue
(C)Hypochondriasis
(D)Obsession
(E)Borderline personality'disorder
1. BC
2. CA
3. AB
4. DA

Correct answer: 3. AB

Explanation: Dissociative Disorders Types Dissociative fugue Multiple persona
I -' disorder Dissociative amnesia Trance & possession disorder Ganser’ssyndrome (found in prison inmates) Characterized by Onset is sudden,
disturbance is temporary & recovery' is often abrupt Disturbance in the normally integrated functions of conciuosness,
identity & memory Often, there is precipitating stress before the onset.
There is clear temporal relation b/w stressor & the onset of illness Secondary gain is present Physical examination & investigation is normal